The anterior relation of the middle ear cavity is:
1. Chorda tympani
2. Tegmen tympani
3. Tensor tympani
4. Facial nerve

Correct answer: 3. Tensor tympani